A 4 month old female child presents with grade IV Vesico- Ureteral Reflux (VUR); without dilation of urinary bladder. The Treatment of choice is ?
1. Septran + Follow up
2. Re - implantation of ureter
3. Injection of collagen at ureteric orifices
4. Bilateral Ureterostomy

Correct answer: 1. Septran + Follow up

Explanation: Ans. is 'a' i.e., Septran + follow up Treatment of grade IV VUR o Age 0-5 years Give antibiotic prophylaxis first Follow up the patient, if recurrences occur, surgical management should be done. o Age 6-10 years 1) Unilateral ---> Same as above 2) Bilateral ----> Surgery